The mandibular first molar is hemisected with separate crowns placed on the mesial and distal roots. Both roots have been treated endodontically with posts, it's long term prognosis is questionable and may be lost due to:
1. Root fracture.
2. Root caries.
3. Recurrent endodontic failure.
4. All of the above.

Correct answer: 4. All of the above.